A two-month-old infant is brought to the hospital emergency with marked respiratory distress. On examination, the infant has cyanosis and bilateral crepitations. Heart rate is 180/min, respiratory rate 56/min and the liver span 7.5 cm. The child has had repeated episodes of fever, cough and respiratory distress since the time of birth. Cardiovascular examination reveals a grade III ejection systolic murmur in left parasternal area and the chest X-ray reveals cardiomegaly with a narrow base and plethoric lung fields. What is the most likely diagnosis?
1. Congenital methemoglobinemia
2. Transposition of great arteries
3. Cystic fibrosis
4. Tetralogy of Fallot

Correct answer: 2. Transposition of great arteries

Explanation: b. Transposition of great arteries(Ref: Nelson's 20/e p 2223-2225, Ghai 8/e p 424-426)In the given case scenario, an infant has features of heart failure, cyanosis with repeated episodes of pneumonia suggesting incree pulmonary blood flow. These clinical features along with the chest X ray findings are suggestive of Transposition of great arteries